Turner syndrome is most commonly associated with which of the following?
1. Sacral agenesis
2. Coarctation of aorta
3. VSD
4. ASD

Correct answer: 2. Coarctation of aorta

Explanation: Most common heart disease in Turner syndrome is Bicuspid aortic valve, followed by coarctation of aorta